Activation of naive B lymphocytes by protein antigens is?
1. T Cell independent
2. NK cell dependent
3. NK cell independent
4. T cell dependent

Correct answer: 4. T cell dependent

Explanation: Ans. is d i.e., T cell dependent Upon activation, B lymphocytes proliferate and then differentiate into plasma cells that secrete different classes of antibodies with distinct functions. Antibody responses to most protein antigens require T cell help and are said to be T-dependent. Many polysaccharide and lipid antigens cannot be recognized by T cells but have multiple identical antigenic determinants (epitopes) that are able to engage many antigen receptor molecules on each B cell and initiate the process of B-cell activation; these responses are said to be T-independent.